Bisphosphonates act by -
1. Increasing the osteoid formation
2. Increasing the mineralization of osteoid
3. Decreasing the osteoclast mediated resorption of bone
4. Decreasing the parathyroid hormone secretion

Correct answer: 3. Decreasing the osteoclast mediated resorption of bone

Explanation: Ans. is 'c' Decreasing the osteoclast mediated resorption of bone The clinical utility of biosphosphonates resides in their ability to inhibit bone resorption. The mechanism by which the entire resorptive effects occur is not completely known but it is thought that the biphosphonate becomes incorporated into bone matrix and is imbibed by osteoclasts during resorption. The osteoclast is then incapaciated and resorption decreases. Goodman & Gillman 1666.